α-D-glucose and β-D-glucose are
1. Stereoisomers
2. Epimers
3. Anomers
4. Keto-aldo pairs

Correct answer: 3. Anomers

Explanation: D-glucose has two anomers, alpha and beta varieties. These anomers are produced by the spatial configuration with reference to the first carbon atom in aldoses and second carbon atom in ketoses. Hence, these carbon atoms are known as anomeric carbon atoms.
Reference: Vasudevan 7th  ed, pg 72